Drugs acting directly on the uterus are using for criminal abortion. All of the following are drugs which increases uterine contraction, EXCEPT:
1. Arsenic
2. Nux vomica
3. Ergotamine
4. Quinine

Correct answer: 1. Arsenic

Explanation: Drugs which increase uterine contraction: Ergot Hydrastis canadensis Quinine Lead Pituitary extract Decoctions of cotton root bark, nitrobenzol, picrotoxin, and strychnine (Nux vomica) Ref: The Essentials of Forensic Medicine and Toxicology by Dr. K. S. Narayan Reddy, 27th edition, Page 374.